A 55-year-old woman is noted to be taking tamoxifen to help with breast cancer. She also complains of vaginal bleeding. Wof is the best explanation for vaginal bleeding
1. It is an estrogen antagonist in the breast and uterus, leading to loss of endometrial cells.
2. It has an antagonist effect on the breast but an agonist effect on the uterus.
3. It has estrogen agonist effect of the breast and uterus, thereby leading to endometrial hyperplasia.
4. It has no effect on the uterus, and the vaginal bleeding is caused by something else.

Correct answer: 2. It has an antagonist effect on the breast but an agonist effect on the uterus.

Explanation: Selective estrogen receptor modulators (SERMs) Tamoxifen citrate Mech of action:- It acts as potent estrogen antagonist in breast carcinoma cells, blood vessels and at some peripheral sites, but as partial agonist in uterus, bone, liver and pituitary. Inhibition of human breast cancer cells and hot flushes reflect antiestrogenic action, while the weak estrogen agonistic action manifests as stimulation of endometrial proliferation, lowering of Gn and prolactin levels in postmenopausal women as well as improvement in their bone density. Side effects:- Hot flushes, vomiting, vaginal bleeding, vaginal discharge, menstrual irregula- rities are the side effects. Increased risk of venous thromboembolism is due to estrogenic action on clotting mechanism. Dermatitis, anorexia, depression, mild leucopenia and ocular changes are infrequent. Ref:- kd tripathi; pg num:-313